Intracytoplasmic inclusion body is seen in?
1. HSV
2. Polio
3. Rabies
4. Yellow fever

Correct answer: 3. Rabies

Explanation: * Inclusion bodies are nuclear or cytoplasmic aggregates of stainable substances, usually proteins. They typically represent sites of viral multiplication in a bacterium or a eukaryotic cell and usually consist of viral capsid proteins.Examples of viral inclusion bodiesIntracytoplasmicIntranuclearIntracytoplasmic + Intranuclear* Negri bodies in Rabies* Guarnieri bodies in Small pox* Henderson- Peterson bodies in Molluscum contagiosum* Cowdry type A in Herpes simplex virus and Varicella zoster virus and Torres bodies in Yellow fever* Cowdry type B in Polio and adenovirus* Warthin finkeldey bodies in Measles and SSPE.